Advantage of LMA are all except
1. Easy to insert
2. Aspiration is prevented
3. Can be used in cervical trauma
4. Does not require muscle relaxant

Correct answer: 2. Aspiration is prevented

Explanation: Aspiration is prevented